Highest conduction rate in m/s is observed in
1. SA node
2. AV node
3. Bundle of His
4. Purkinje system

Correct answer: 4. Purkinje system